The capsule of the crystalline lens is thinnest at
1. Anterior pole
2. Posterior pole
3. Equator
4. None

Correct answer: 2. Posterior pole

Explanation: (Posterior pole) (167- Khurana 4th)Lens Capsule - is a thin, transparent, hyaline membrane surrounding the lens* Capsule is thickest at pre-equator regions (14 p) and thinnest at the posterior pole Op)